Edema occurs when plasma protein level is below:
1. 8 g/Dl
2. 2 g/dL
3. 5 g/dL
4. 10 g/dL

Correct answer: 3. 5 g/dL

Explanation: Ans. (c) 5g/dL(Ref: Harshmohan 5th pg 97)When total plasma proteins <5gm/dl (normal 6-8gm/dl) or albumin <2.5gm/dl (normal 3.5-5gm/dl) edema takes place